Cullen's sign in seen in -
1. Acute cholecystitis
2. Acute pancreatitis
3. Acute haemorrhagic pancreatitis
4. Blunt injury abdomen

Correct answer: 3. Acute haemorrhagic pancreatitis

Explanation: Ans. is 'c' i.e., Acute haemorrhagic pancreatitis